Fluid best for postmortem investigation?
1. CSF
2. Vitreous
3. Synovial fluid
4. Serum

Correct answer: 2. Vitreous

Explanation: Ans. b (Vitreous) (Ref. Reddy FMT 23rd/pg. 332).There is a linear relationship between potassium concentration in vitreous and time after death up to 120 hours.Also Know:* The component of vitreous humour that is most useful in determining time since deathPotassium* Mucopolysacchride maximally present in vitreous humourHyaluronic acid* Biological fluids useful for estimating postmortem intervalVitreous humor, CSF & blood* Biological fluid NOT studied for estimating postmortem intervalUrine